Which of the following can reverse one or more smooth muscle effects of circulating histamine in humans?
1. Granisetron
2. Adrenaline
3. Ranitidine
4. Sumatriptan

Correct answer: 2. Adrenaline

Explanation: Adrenaline is a physiological antagonist of histamine. It reverses bronchoconstriction caused by histamine. Ranitidine is an H2 antagonist that decreases gastric acid secretion but has no effect on smooth muscles.